Endocrinal causes of Carpal Tunnel syndrome include all of the following, Except
1. Diabetes Mellitus
2. Hypothyroidism
3. Acromegaly
4. Addison's disease

Correct answer: 4. Addison's disease

Explanation: Answer is D (Addison's disease): Addison's disease is not associated with carpal tunnel syndrome Endocrinal Causes of Carpal Tunnel Syndrome Acromegaly (CMDT) Hypothyroidism (Myxoedema) (Harrison's) Hyperparathyroidism (CMDT) Diabetes Mellitus (Harrison's)